The most common side effect of IUD insertion is:
1. Bleeding
2. Pain
3. Pelvic infection
4. Ectopic pregnancy

Correct answer: 1. Bleeding

Explanation: The most common side effect of IUD insertion is bleeding. Ref:PSM and Biostatistics: Slef Assessment and Review - Park, 17th Edition, Page 341 and 18th Edition, Page 365